The median of values 2, 5, 7, 10, 10, 13, 25 ?
1. 10
2. 13
3. 25
4. 5

Correct answer: 1. 10

Explanation: Ans. is 'a' i.e., 10